Which of the following statements is true about bacteriophage -
1. it is bacterium
2. It helps in transformation
3. it imparts toxigenicity to bacteria
4. It transfer only chromosomal gene

Correct answer: 3. it imparts toxigenicity to bacteria

Explanation: Bacteriophage is a type of virus that soecifically infects bacteria and fungi. REF:ANANTHANARAYAN AND PANIKER'S TEXTBOOK OF MICROBIOLOGY 9TH EDITION PAGE NO:460